Study of structure and products of gene is:
1. Genomics
2. Proteomics
3. Bioinformatics
4. Cytogenetics

Correct answer: 1. Genomics

Explanation: Ans. A. Genomics(Ref: Harper 30/e page 98,99)Bioinformatics: The discipline concerned with the collection, storage, and analysis of biologic data, mainly DNA and protein sequencesGenome: The complete set of genes of an organismGenomics: In depth study of the structures and functions of genomes.Transcriptome: The complete set of RNA transcripts produced by the genome during a fixed period of time.Transcriptomics: The comprehensive study of transcriptome.Proteome: The complete compliment of proteins of an organism.Proteomics: The systematic study of structures and functions of proteomes and their variation in health and disease.Exome: The nucleotide sequence of the entire complement of mRNA exons expressed in a particular cell, tissue, organ or organism.